The most common cause of facial palsy is -
1. Bell's palsy
2. Cuillain-Bare syndrome
3. Parotid tumour
4. Injury to the facial nerve

Correct answer: 1. Bell's palsy